Which of the following is the leading cause of GHRH mediated acromegaly?
1. Hypothalamic Hamartoma
2. Choristoma
3. Carcinoid tumour
4. Pluri-hormonal adenoma

Correct answer: 3. Carcinoid tumour

Explanation: The leading cause of GHRH mediated acromegaly is chest or abdominal carcinoid tumour. It will present with elevated GH levels and pituitary enlargement on MRI leading to high probability of misdiagnosis as pituitary adenoma. GHRH levels can be used to differentiate a pituitary vs extra pituitary aetiology.